Haloperidol induced extarpyramidal side effects are treated by -
1. Benzodiazepines
2. Barbiturates
3. Anticholinergic drugs
4. SSRIs

Correct answer: 3. Anticholinergic drugs

Explanation: Ans is 'c' i.e. Anticholinergic drugs o Extrapyramidal symptoms (EPS), also known as extrapyramidal side effects (EPSE), are drug-induced movement disorders that include acute and tardive symptoms. These symptoms include dystonia (continuous spasms and muscle contractions), akathisia (motor restlessness), parkinsonism (characteristic symptoms such as rigidity), bradvkinesia (slowness of movement), and tremor, and tardive dyskinesia (irregular, jerky movements)o Anticholinergic drugs are used to control neuroleptic-induced EPS, although akathisia may require beta blockers or even benzodiazepines.o Commonly used medications for EPS are anticholinergic agents such as Benztropine, Diphenhydramine and trihexyphenidyl . Another common course of treatment includes dopamine agonist agents such as pramipexole.